How many beds are there in PHC for indoor patients?
1. 2
2. 3
3. 6
4. 9

Correct answer: 3. 6

Explanation: ANSWER: (C) 6REF: Park 20th ed page 805Standards prescribed for PHC:One PHC for every 30,000 rural populationin the plains, and one PHC for every 20,000 population in hilly, tribal and backward areasOPD services; 4 hours in morning, 2 hours in after noon/eveningMinimum OPD attendance should be 40 patients per doctor per day24 hour emergency servicesInpatient services (6 beds)